Omalizumab is a monoclonal antibody used for the management of:
1. Digitalis toxicity
2. Bronchial asthma
3. Rheumatoid arthritis
4. Breast carcinoma

Correct answer: 2. Bronchial asthma

Explanation: Omalizumab is a monoclonal antibody against IgE. It is useful for the Management of bronchial asthma.